Which type of memory is relatively unaffected in delirium?
1. Recent memory
2. Remote memory
3. Immediate memory
4. None of the above

Correct answer: 2. Remote memory

Explanation: Remote memory is relatively intact in delirium.